Frequency distribution is studied by
1. Histogram
2. Line diagram
3. Pie diagram
4. Ski diagram

Correct answer: 1. Histogram

Explanation: Ans. is 'a' i.e., Histogram